Trastuzumab is directed against
1. Human epidermal growth factor receptor 2
2. Vascular endothelial growth factor A
3. Platelet derived growth factor
4. Fibroblast growth factor 23

Correct answer: 1. Human epidermal growth factor receptor 2

Explanation: Trastuzumab is a humanized monoclonal antibody directed against the extracellular domain of the (human epidermal growth factor receptor -2) HER-2 surface receptor and is effective treatment for HER-2-positive breast cancer Ref: Sabiston 20e, page: 840